Bone tumors arising from diaphysis -a) Chondrosarcomab) Ewing's tumorc) Osteoclastomad) Chondroblastoma e) Osteid osteoma
1. ab
2. ad
3. bc
4. be

Correct answer: 4. be

Explanation: Diaphyseal lesions : - Ewing sarcoma, Lymphomas, Fibrous dysplasia, Adamantinoma, Histiocytosis, Osteoid osteoma, Chondromyxoid fibroma, Fibrosarcoma, Fibrous cortical defect. Non ossifying fibroma